In hereditary fructose intolerance there is defect in:
1. Phosphofructokinase
2. Fructose 2, 6-biphosphatase
3. Fructokinase
4. Aldolase B

Correct answer: 4. Aldolase B

Explanation: Ans. D. Aldolase BDefect in hepatic fructokinase causes essential fructosuria.Defect in hepatic aldolase B causes hereditary fructose intolerance.